Dohle bodies seen in neutrophils of patients suffering from sepsis are-
1. Golgi complexes
2. Toxic granules
3. Dilated endoplasmic reticulum
4. Degenerated mitochondria

Correct answer: 3. Dilated endoplasmic reticulum

Explanation: Dohle bodies are patches of the dilated endoplasmic reticulum that appear as sky-blue cytoplasmic "puddles" in smears stained with Wright-Giemsa stain. Ref: Pathologic Basis Of Disease 7th ed - Robbins, Coltran, Pg no.665